In case of female commonest hernia is :
1. Direct inguinal hernia
2. Indirect inguinal hernia
3. Femoral Hernia
4. Incisional hernia

Correct answer: 2. Indirect inguinal hernia

Explanation: Ans. is 'b' ie Indirect Inguinal hernia "Femoral hernias are uncommon> comprising about 2.5 percent of all groin hernias. They occur occasionally in women, especially in multiparous elderly women but not as frequently as inguinal hernia." -Schwartz